Wolfe grafts is:
1. Full thickness skin grafts
2. Partial thickness skin grafts
3. Split - skin grafts
4. Pedicled flap

Correct answer: 1. Full thickness skin grafts

Explanation: (Full thickness skin grafts) (259-60-Baily & Love 24th) (401-402-Baily &Love 25th)Split-skin grafts(THIERSCH-GRAFTS)Fall thickness grafts(WOLFF-GRAFTS)Donor site factors- Smaller area* Large area available* Donor site heals spontaneously* Donor site reusable- Donor site must be closed- Donor site scarsRecipient factors * Poor colour match* Easily abraded* Inferior cosmetic resistant* More reliable take* Shiney texture, inelastic Good colour matchAbrasion resistantGood cosmetic resistantLess reliable takeNormal texture elastic